In Promyelocytic Leukemia, all of the following are features, except:
1. Retinoic acid is used in treatment
2. 15/17 translocation maybe seen
3. CD 15/34 both seen in same cell
4. Associated with Disseminated Intravascular Coagulation (DIVC)

Correct answer: 3. CD 15/34 both seen in same cell

Explanation: CD 15 and CD 34 are not associated with Promyelocytic leukemia (PML). CD 15 is present on most Reed-Sternberg cells, associated with hodgkins lymphoma. CD 34 are seen in alveolar soft tissue sarcoma, pre B-ALL, AML, AML-M7, meningiomas, neurofibromas, schwannomas, and papillary thyroid carcinoma. Ref: Harrison's Principles of Internal Medicine, 17th Edition, Page 678-682; Harrison 16th Edition, Page 7632-634; Bobbin's 7th Edition, Page 693; Davidson's Principles and Practice of Medicine, 20th Edition, Chapter 24, Page 1047.